Action of cholecystokinin include all of the following except:
1. Contraction of gall bladder
2. Secretion of pancreatic juice rich in enzymes
3. Increases the secretion of enterokinase
4. Stimulated gastric emptying

Correct answer: 4. Stimulated gastric emptying

Explanation: Ans. D. Stimulated gastric emptying(1) Distribution: -a. CCK8 and CCK12 - secreted by duodenum and duodenum.b. CCK-4 - by enteric nerves and pancreatic nervesc. CCK58 and CCK8 - found in brain ~ especially in cerebral cortex, where involved in the regulation of food intake, anxiety and analgesia.(2) Function of CCK: -a. Contraction of gall bladderb. Secretion of the pancreatic juice rich in enzymec. Augments the action of secretin producing secretion an alkaline pancreatic juice.d. Inhibits gastric emptyinge. Exerts a trophic effect on the pancreas,f. Increases the secretion of enterokinaseg. Enhance the motility of the small intestine.h. Augments the contraction of pyloric sphincteri. CCK and gastrin - stimulate glucagon secretion.3) Secretion of CCK is increased by: -a. Contact of the intestinal mucosa with the products of digestion particularly peptides, and amino acidsb. By the presence of fatty acids containing more than 10 carbon atoms in duodenum.